Characteristic feature of acute inflammation -
1. Vasoconstriction
2. Vascular stasis
3. Vasodilatation and increased vascular permeability
4. Margination of leucocytes

Correct answer: 3. Vasodilatation and increased vascular permeability

Explanation: Ans. is 'c' i.e., Vasodilatation and increased vascular permeability Acute inflammation has three major steps: -Among these three major steps "The hallmark of acute inflammation is increased vascular permeability leading to escape of protein rich fluid (exudates) into the extravascular tissue".Mechanism of increased vascular permeabilityFormation of endothelial gaps in venulesDirect endothelial injury resulting in endothelial cell necrosis and detachment.Delayed prolonged leakageLeucocyte mediated endothelial injury.